A dead born foetus does not have -
1. Rigor mortis at birth
2. Adipocere formation
3. Maceration
4. Mummification

Correct answer: 2. Adipocere formation

Explanation: Signs of dead born (intrauterine death : IUD) are (i) Rigor mortis at birth, (ii) Maceration, (iii) Putrefaction, and (iv) Mummification.
Adipocere formation does not occur.